Ability of body to eliminate the drug from body is called as:
1. Volume of distribution
2. Clearance
3. Steady state
4. Rate of elimination

Correct answer: 2. Clearance

Explanation: Ans. B. Clearance (Ref:KDT 7/e p3,6/e p31)Ability of body to eliminate the drug from body is called as Clearance.ClearanceThe clearance of the drug is theoretical volume of plasma from which the drug is completely removed in unit time.It can be calculated as:CL = Rate of elimination/CC is plasma concentration